Which of the following drugs acts on trabecular mesh-work and affects the aqueous outflow
1. Timolol
2. Pilocarpine
3. Brimonidine
4. Brinzolamide

Correct answer: 2. Pilocarpine

Explanation: Pilocarpine increases trabecular outflow by increasing ciliary tone. Timolol and Brinzolamide decreases the aqueous formation.
Brimonidine act by augmenting uveoscleral outflow.